Episiotomy is best done:
1. Medially
2. Laterally
3. Medio laterally
4. J shaped

Correct answer: 3. Medio laterally

Explanation: Ans. C. Medio laterallyTypes of episiotomy:a. Mediolateral (best and routinely done)b. Medianc. Laterald. 'J' shapede. Only mediolateral or median episiotomy is done commonly.